The commonest clinical pattern of basal cell carcinoma is -
1. Nodular
2. Morpheaform
3. Superficial
4. Keratotic

Correct answer: 1. Nodular

Explanation: • Locally invasive carcinoma, arises from the basal layer of the epidermis
• MC type of skin cancer
• 90% of BCC are seen in the face, above a line from the corner of mouth to lobule of ear.
• MC site: Nose >Inner canthus of the eye, also known as Tear cancer.
Types of BCC
• Nodular: MC type of BCC, characterized by small slow growing pearly nodules, often with telengiectatic vessels on its surface.
Central depression with umbilication is a classic sign.
• Pigmented: Mimic malignant melanoma
• Cystic
• Superficial